Neural tube defects are associated with which drugs?
1. Ethosuximide
2. Valproic acid
3. Lamotrigine
4. Topiramate

Correct answer: 2. Valproic acid

Explanation: Ans. is 'b' i.e., Valproic acid Adverse effects of Na valproate* Anorexia, vomiting, loose motions and heart burn are common but mild.* Dose related side effects are Drowsiness, ataxia, tumors.* Alopecia, curling of hair, weight gain and increased bleeding tendency.* Rashes and thrombocytopenia are infrequent hypersensitivity phenomenon.* Fulminant hepatitis occurs rarely in children especially below 3 years of age.* Pancreatitis is also reported in some cases.* Used in pregnancy, it has produced spina bifida and other neural tube defects in the offspring and should be avoided.* Young girls on Na valproate sometimes may show features of PCOD and menstrual irregularities.